True about nephrogenic diabetes insipidus in children -
1. Decreased ADH secretion
2. Receptor insensitivity in kidney tubules
3. Decreased ADH
4. Commonly associated with WILM's tumor

Correct answer: 2. Receptor insensitivity in kidney tubules

Explanation: Ans. is 'b' i.e., Receptor insensitivity in kidney tubuleso In nephrogenic diabetes insipidus, level of the ADH is normal.o The defects lies in the distal tubule where the cells fail to respond to ADH.o Diabetes inspidus is associated with wolfram syndrome or DIDMOD syndrome not wilm's tumour.Wolfram syndrome --> Diabetes insidus, Diabetes mellitus, Optic atrophy, Deafness